Sustainable Development Goals is Designed by;
1. UNICEF
2. United Nations
3. WHO
4. Government of India

Correct answer: 2. United Nations

Explanation: Sustainable development goals are designed by United Nations set in 2015 and intended to be achieved by the year 2030. The five Ps of its agenda are people, planet, prosperity, peace and partnership. SDG 3: Ensure healthy lives and promote well-being for all ages. Goal 3 includes 13 targets covering all major health priorities with four targets on the unfinished and expended millennium development goals.